Which of the following disease is seen only in females?
1. Autism
2. Asperger's syndrome
3. Retts disease
4. Colard'd disease

Correct answer: 3. Retts disease

Explanation: ANSWER: (C) Rett's diseaseREF: Kaplan 9th ed p. 1215RETT SYNDROMEIt is a neurodevelopmental disorder of the grey matter of the brain that almost exclusively affects females.Normal prenatal and post natal growth, normal psychomotor development through first 5 months of life.The clinical features include small hands and feet and a deceleration of the rate of head growth between 5-48 months (including microcephaly in some).Loss of previously acquired hand skillsRepetitive hand movements, such as wringing and/or repeatedly putting hands into the mouth, are also noted and also.People with Rett syndrome are prone to gastrointestinal disorders and up to 80% have seizures. They typically have no verbal skills, and about 50% of individuals affected are not ambulatory. Scoliosis, growth failure, and constipation are very common and can be problematic.ASPERGER SYNDROME:AKA Asperger's syndrome or Asperger disorder is an autism spectrum disorder (ASD) that is characterized by significant difficulties in social interaction, alongside restricted and repetitive patterns of behavior and interests.It differs from other autism spectrum disorders by its relative preservation of linguistic and cognitive development. Pursuit of specific and narrow areas of interest is one of the most striking features of AS.Individuals with AS often have excellent auditory and visual perception .Motor clumsiness and inability to appreciate finer nuances.